Activity of glutathione reductase in RBCs gives an idea about functional index of which of the following?
1. Riboflavin
2. Pyridoxine
3. Niacin
4. Biotin

Correct answer: 1. Riboflavin

Explanation: Activity of glutathione reductase in RBCs gives an idea about functional index of flavin coenzyme activity- Riboflavin